Hemoptysis can be seen in
1. Leukemia
2. heaemophilia
3. anticoagulant therapy
4. All of the above

Correct answer: 4. All of the above